Nerve gases include all, except
1. Tabun
2. Bromo Benzyl Cyanide (BBC)
3. Sarin
4. Soman

Correct answer: 2. Bromo Benzyl Cyanide (BBC)

Explanation: Tabun, Sarin, Soman, Cyclosarin are some examples of the nerve agents. Bromo Benzyl Cyanide is a tear gas. Ref - Krishnan Vij 5th edition pg 554-556